Most specific test to detect blood stains is
1. Benzidine test
2. Teichmann's test
3. Orthotoluidine test
4. Spectroscopic test

Correct answer: 4. Spectroscopic test

Explanation: Spectroscopic test is the most specific for blood stains. Tests for blood stains Spectroscopy tests can give information about what chemical compounds and elements are present in a sample, whether certain types of degradation have occurred in a sample, the amount and type of crystallinity present in the sample, to name a few uses. Ref ganong's review of medical physiology 25e